All are tests for detecting carbon monoxide in blood except?
1. Kastle mayer test
2. Tannic acid test
3. Spectrophotometry
4. Hoppe-seyler's test

Correct answer: 1. Kastle mayer test

Explanation: Ans. is 'a' i.e., Kastle mayer testSpectroscopic examination, Hoppe - Seyler's test (10% NaOH), kunkel's (tannic acid) test and adding water (15 ml) in 2 drops of blood can detect CO.